Shortest acting muscle relaxant -
1. Pancuronium
2. Atracurium
3. Mivacurium
4. Vecuronium

Correct answer: 3. Mivacurium

Explanation: Ans. is 'c' i.e., Mivacurium o Mivacurium is the shortest acting competitive blockers.